Fluorides mostly deposited on the enamel surface at:
1. Outer surface
2. At DEJ
3. Inner surface
4. Inter prismatic substance

Correct answer: 1. Outer surface